Best site for blood collection for toxicology sampling -
1. Abdominal aorta
2. Femoral vein
3. Carotid artery
4. Heart

Correct answer: 2. Femoral vein

Explanation: 30 ml of blood is taken from femoral, axillary or jugular veins at peripheral site for toxicological analysis in autopsy. Dr. Narayana Reddys Synopsis of Forensic Medicine & Toxicology 27 th edition pg. 61.